Median nerve lesion at the wrist causes all of the following.except ?
1. Thenar atrophy
2. Weakness of Adductor pollicis
3. Weaknes of 1st and 2nd lumbricals
4. Weakness of Flexor pollicis brevis

Correct answer: 2. Weakness of Adductor pollicis

Explanation: Ans. is 'b' i.e., Weakness of Adductor pollicis Adductor pollicis is supplied by ulnar nerve.